Which group of drugs is most effective for the healing of Non steroidal Anti Inflammatory Drug (NSAID) induced gastric ulcer-
1. Prostaglandin analogues
2. H2-receptor antagonists
3. Proton pump inhibitors
4. Antacids

Correct answer: 3. Proton pump inhibitors

Explanation: Ans. is 'c' i.e., Proton pump inhibitors o Drug of choice for NSAIDs induced peptic ulcer ---> PPIs o Most specific drug for NSAIDs induced peptic ulcer --> Prostaglandin analogue.